Actinomycosis is characterized by all except
1. Lymphadenopathy
2. Discharging sinus
3. Pyaemia
4. Honey comb liver

Correct answer: 1. Lymphadenopathy

Explanation: There is no Lymph node involvement in Actinomycosis.